Which of the following statements is not true cases of infective enfective endocarditis caused by HACEK organisms?
1. The clinicaI course of HACEK endocarditis tends be acute and fulminate
2. Cultures of blood from patients HACEK endocarditis may require up to be positive
3. Embolization is common and occures in around 50 /o cases of HACEK endocarditis
4. Valvular vegetation are seen in up to 85% of patients

Correct answer: 1. The clinicaI course of HACEK endocarditis tends be acute and fulminate

Explanation: Gram negative bacilli account for approximately 5% of IE diagnoses. These can be divided into HACEK and non-HACEK IE. The acronym HACEK stands for Haemophilus, Actinobacillus, Cardiobacterium, Eikenella, and Kingella. IE due to HACEK organisms is rarely acute . Ref Harrison20th edition pg 1077